A patient presents to the emergency department with uniocular diplopia. Examination with oblique illumination shows golden crescent while examination with co-axil illumination show a dark crescent line. Which of the following is the most likely diagnosis:
1. Lenticonus
2. Coloboma
3. Microspherophakia
4. Ectopia lentis

Correct answer: 4. Ectopia lentis

Explanation: Ans. Ectopia lentis